22 Gauge iv cannula colour is
1. Green
2. Grey
3. Blue
4. Pink

Correct answer: 3. Blue

Explanation: Orange : 14G
Gray : 16G
Green : 18G
Pink : 20G
Blue : 22G
Yellow : 24G